Commonest type of bronchogenic carcinoma is
1. Adenocarcinoma
2. Oat cell carcinoma
3. Squamous cell carcinoma
4. Large cell carcinoma

Correct answer: 1. Adenocarcinoma